Healthy carrier is seen in all except
1. Polio
2. Measles
3. Cholera
4. Diphtheria

Correct answer: 2. Measles

Explanation: By type carriers can be classified into Incubatory carriers : Sheds infectious agents during incubation period of disease. Eg. Measles, Mumps etc. Convalescent carriers : Who continue to shed the disease agent during the convalescent period. Eg. Typhoid, Dysentery etc. Healthy carriers : They are victims of subclinical infection who have developed carrier state without suffering from overt disease, but are nevertheless shedding the disease agents. Eg. Polio, Cholera, Meningococcal meningitis, Salmonellosis and Diphtheria Reference: Park's Textbook of Preventive and Social medicine; 24th edition; Page no. 101